All are seen in Transient Tachypnea of the new born Except
1. Associated with Grunting& cyanosis
2. Associated with Rhonchi crackles
3. Presence of Interlobar effusion
4. Early onset in neonatal period

Correct answer: 2. Associated with Rhonchi crackles

Explanation: Transient Tachypnea of the New bornPathophysiologyClinical featuresSlow resorption of lung fluid.Pulmonary compliance |Tidal volume |Dead space |Disease of exclusion.Rapid & early onsetRecovery within 3 days.No/minimal cyanosis.Grunting +-X-ray featuresComplicationsProminent pulmonary vessel markings.Fluid in interlobar fissure.Overreaction.Flat diaphragm.Small pleural effusionPersistent pulmonary hypertension.Malignant TTN(severe form) Treatment - Supportive(Refer: Nelson's Textbook of Paediatrics,19thedition, pg no: 590)